Which of the following cytokines cause bone resorption?
1. IL-1
2. IL-8
3. IFN-gamma
4. IL-4

Correct answer: 1. IL-1